Appendix posses:
1. Taeniae coli
2. Appendicis epiploicae
3. Sacculations
4. Mesentery

Correct answer: 4. Mesentery

Explanation: Mesentery